Quickening is:
1. Heart beat
2. Uterine contractions
3. Feeling of first foetal movement by mother
4. None of the above

Correct answer: 3. Feeling of first foetal movement by mother

Explanation: Ans. C i.e. Feeling of first foetal movement by mother